Laryngeal cartilage forming complete circle -
1. Arytenoid
2. Cricoid
3. Thyroid
4. Hyoid

Correct answer: 2. Cricoid

Explanation: Ans. is 'b' i.e., Cricoid [Ref: Dhingra 5th/ep. 299\Lvrangeal cartilagesThyroid (unpaired)o It is the largest of all laryngeal cartilages. It is 'V* shaped with right and left lamina. Both laminae (alae) meet anteriorly forming an angle of 90deg in males and 120deg in females. Vocal cords are attached to the middle of thyroid angle.Cricoid (unpaired)o It is the only cartilage forming a complete ring, therefore is shaped like a ring. It articulates with arytenoid cartilage to form cricoarytenoid joint, a type of synovial joint.Epiglottis (unpaired)o It is leaf-shaped elastic cartilage (in adults). It is omega shaped in children. It forms the anterior wall of laryngeal inlet.Arytenoid cartilage (paired)o Each Arytenoid cartilage is pyramidal in shape. Base articulates with cricoid cartilage, and apex supports the comiculate cartilage. A vocal process directed anteriorly and gives attachement to vocal cord. A muscular process directed laterally and gives attachment to intrinsic laryngeal muscles.Corniculate cartilage (of Santorini): Pairedo Articulates with apex of Arytenoid cartilageCuneiform cartilage (of Wrisberg): Pairedo Situated in aryepiglottic fold in front of comiculate cartilage.